Which of the following drugs is used in management of breast cancer if it is estrogen receptor positive -
1. Bevacizumab
2. Tamoxifen
3. Cyclophosphamide
4. Adalimumab

Correct answer: 2. Tamoxifen

Explanation: Ans. is 'b' i.e., Tamoxifen Drugs commonly used in hormone (estrogen) receptor positive breast cancero SERMs Tamoxifen, tromifeneo SERDsFulvestranto Aromatase inhibitors Letrozole, anastrazole, exemestone.